All the following MALT lymphomas are related to the following organism except:
1. MALT lymphomas of stomach-H.pylori
2. MALT lymphomas of skin- Bartonella
3. MALT lymphomas of eye - Chlamydophila psittaci
4. MALT lymphomas of small intestine - Campylobacter jejuni

Correct answer: 2. MALT lymphomas of skin- Bartonella

Explanation: MALT lymphoma Associated Organism Gastric MALT (mucosa-associated lymphoid tissue) lymphomas Helicobacter pylori MALT lymphomas of the skin Borrelia sp MALT lymphomas of eyes Chlamydophila psittaci MALT lymphomas of small intestine Campylobacter jejuni Ref: Harrison, E-18,P-920